In which of the following conditions IOL implantation after cataract surgery is contraindicated
1. Fuch's heterochromic iridocyclitis
2. Reiter's syndrome
3. Juvenile rheumatoid arthritis
4. Psoriatic arthritis

Correct answer: 3. Juvenile rheumatoid arthritis

Explanation: JUVENILE CHRONIC ARTHRITIS Juvenile chronic arthritis (JCA) is an idiopathic chronic inflammatory arthritis involving multiple joints (knee, elbow, ankle and interphalangeal joints) in children below the age of 16 years. The disease is also referred as Juvenile rheumatoid arthritis, though the patients are sero-negative for rheumatoid factor. In 30 percent cases, polyarthritis is associated with hepatosplenomegaly and other systemic features, and the condition is labelled as Still's disease. Anterior uveitis associated with JCA is a bilateral (70%), chronic non-granulomatous disease, affecting female children more than the male (4:1). It usually develops before the age of 6 years. Nearly half of the patients are positive for HLA-DW5 and 75 percent are positive for antinuclear antibodies (ANA). The onset of uveitis is asymptomatic and the eye is white even in the presence of severe uveitis. Therefore, slit-lamp examination is mandatory in children suffering from JCA. Complications: posterior synechiae, complicated cataract and band-shaped keratopathy. Ref:- A K Khurana; pg num:-157